Which of the following cause allergic contact dermatitis through air?
1. House dust mite
2. Nickel
3. Parthenium
4. Detergents

Correct answer: 3. Parthenium

Explanation: ANSWER: (C) PartheniumREF: Roxburgh's 17th ed page 105-109, rooks- 7th ed p. 19.1-19.20, fitzpatrick s p. 1181-1203CONTACT DERMATITISType 4 hypersensitivityDiagnosis by patch test (read 2 days)Most common air borne contact dermatitis: Parthenium (congress grass)Most common contact dermatitis in Indian females: Detergent dermatitisMost common contact dermatitis due to metal: Nickel